Insulinoma true area) Present in pancreasb) Mostly malignantc) surgical therapy indicated if diagnosedd) Present in Bile
1. a
2. bc
3. ac
4. b

Correct answer: 3. ac

Explanation: Only about 10-15% of insulinomas are malignant (whereas all other endocrine tumors of pancreas are usually malignant).